Aversion therapy is used in treatment of ?
1. Paraphilias
2. Tribaldism
3. Cunnilingus
4. Nymphomania

Correct answer: 1. Paraphilias

Explanation: Ans. is'a'i.e., Paraphilias (Ref: Nirai Ahuia 6h/e p. 2281Aversion therapy is used for the treatment of conditions which are pleasant but undesirable (e.g., alcoholism, trichotillomania, drug abuse and smoking).The underlying principle is the pairing of the pleasant stimulus (e.g., alcohol) with an unpleasant response (e.g., brief electric stimulus).Although aversion therapy can potentially eliminate almost any unwanted behavior, two of the most cofirnofl opplicotions of this treatment approach over the years ire rehabilitation programs fot sex offenders and drug and alcohol addiction treatment.